Keratomalacia is seen in which of the following infections-
1. Chicken pox
2. Mumps
3. Diarrhoea
4. Measles

Correct answer: 4. Measles

Explanation: All cases of severe measles and all cases of measles in ares of high fatality rates should be treated with vitamin A , as many children may develop acute deficiency of vitamin A, which may lead to keratomalacia and blindness from corneal scarring. Reference : Park's Textbook of preventive and social medicine, 24th edition.Pg no. 158